Laparoscopy - pressure in the abdomen of children
1. 2 - 6 mm Hg
2. 8 - 12 mm Hg
3. 14 - 18 mm Hg
4. 20 - 24 mm Hg

Correct answer: 2. 8 - 12 mm Hg

Explanation: Answer- B. 8 - 12 mm HgThe optimal intrabdominal pressure for laproscopy in children has been established to be between 8 - 12 mm Hg, with neonates tolerating lower pressures than elders.